What is the characteristic of a lacerated wound over bony surface due to blunt trauma without excessive skin crushing?
1. Irregular margins
2. Regular sharp margins
3. Tearing
4. Flaying

Correct answer: 2. Regular sharp margins

Explanation: Blunt force on areas where the skin is close to bone, and the subcutaneous tissues are scanty, may produce a wound which by linear splitting of the tissues, may look like incised wound. Lacerations produced without excessive skin crushing may have relatively regular sharp margins. Ref: The Essentials of Forensic Medicine and Toxicology by Dr. K. S. Narayan Reddy, 27th edition, Page 166.